Child at birth presented with respiratory distress and drooling of saliva. Mother has a history of polyhydramnios. What is the initial investigation
1. Chest X Ray
2. NG tube and CXR
3. Endoscopy
4. Contrast study

Correct answer: 2. NG tube and CXR

Explanation: This is a case of tracheoesophageal fistula. Initial investigation is inserting nasogastric tube and chest X-Ray. Investigation of choice is IOHEXOL contrast study